Hartman's pouch is seen in ?
1. Liver
2. Bile duct
3. Pancreas
4. Gall bladder

Correct answer: 4. Gall bladder

Explanation: Ans. is 'd' i.e., Gall bladderGall bladder is a pear-shaped hollow viscus situated in a non-peritoneal fossa on the undersurface of right lobe of liver.It is 7-10 cm long, 3 cm broad and has a capacity of 30-50 ml.Gall bladder is divided into (from below upwards) :- fundus, body and neck.Fundus projects beyond the inferior border of liver.Body lies in the fossa for gallbladder on the undersurface of right lobe of liver.Neck is `S' shaped and extends from the body to cystic duct, i.e. neck becomes continuous with cystic duct.From the neck, a small diverticulum known as Hartman's pouch projects downwards and backwards towards the duodenum.The wall of gall bladder is made up of mucous membrane, a fibromuscular coat and a serous layer that covers part of organ.The mucosa is noted for outpouchings extending into and through muscular fibers, called as Rokitansky-Aschoff sinuses.